In Nulliparous, cervical opening is :
1. Longitudinal
2. Circular
3. Transverse
4. Fimbriated

Correct answer: 2. Circular

Explanation: B i.e. Circular